The typical 'Orphan-Annie eye' nucleus is described in -
1. Serous cystadenocarcinoma of ovary
2. Renal cell carcinoma
3. Papillary carcinoma of thyroid
4. Seminoma

Correct answer: 3. Papillary carcinoma of thyroid

Explanation: Papillary carcinoma: Accounts for 85% of thyroid malignancy in iodine-deficient areas Most common thyroid cancer in children and in persons exposed to external radiation Most often in women between 30-40 years Excellent prognosis Characteristic nuclear features: Ground glass (Orphan Annie) nuclei pseudoinclusions Nuclear grooves. Nuclear features are used as diagnostic criteria even in the absence of papillae. Papillary carcinoma: Most commonly spreads through lymphatics. Papillary carcinoma: Metastasize through lymphatics and have an excellent prognosis.